Which of the following is not related to epidemiology ?
1. Promotion of health
2. Identification of etiology of disease
3. To collect data of magnitude of health problem
4. To teach a medical student how to conduct safe delivery

Correct answer: 4. To teach a medical student how to conduct safe delivery

Explanation: Ans. is 'd' i.e., To teach a medical student how to conduct safe delivery According to the International Epidemiological Association (IEA), epidemiology has three main aims : a) To describe the distribution and magnitude of health and disease problems in human populations. b) To identify aetiological factors (risk factors) in the pathogenesis of disease; and c) To provide the data essential to the planning, implementation and evaluation of services for the prevention, control and treatment of disease and to the setting up of priorities among those services. In order to fulfil these aims, three rather different classes of epidemiological studies may be mentioned : descriptive studies, analytical studies, and experimental or intervention studies. The ultimate aim of epidemiology is to lead to effective action : a) To eliminate or reduce the health problem or its consequences; and b) To promote the health and well-being of society as a whole.